Child presents with recurrent abdominal pain and bilious vomiting. Condition was diagnosed by barium follow through. Surgery was done, mesenteric widening, appendectomy, cutting the Ladd's mesenteric widening, appendectomy, cutting the Ladd's band. What is the diagnosis?
1. Recurrent cecal volvulus
2. Malrotation
3. Recurrent appendicitis
4. Stricture TB

Correct answer: 2. Malrotation

Explanation: Ans. (b) MalrotationRef: Sabiston 19th edition, Pages 1843-1844Types of malrotation of gut:* Incomplete malrotation is the most common malrotation resulting due to Ladd's Band* Nonrotation abnormality is the most common anomaly* Reverse rotation* Hyper rotation* Malrotation with midgut volvulus